Symptoms of opium poisoning are all EXCEPT:
1. Respiratory depression
2. Orthostatic hypotension
3. Diarrhea
4. Seizures

Correct answer: 3. Diarrhea

Explanation: Diarrhea REF: Medical toxicology by Richard C. Dart Page 770, Textbook of Forensic Medicine and Toxicology by Nagesh Kumar Rao - Page 397 Opioid toxicity: Opiate toxicity should be suspected when the clinical triad of CNS depression, respiratory depression, and pupillary miosis are present. Drowsiness, Conjunctival injection, and euphoria are seen frequently. Ventricular arrhythmias, acute mental status changes, and seizures. Both bradypnea and hypopnea are observed. Mild peripheral vasodilation may occur and result in orthostatic hypotension. Opioids prolong GI transit times (constipation not diarrhea), possibly causing delayed and prolonged absorption. Nightmares, anxiety, agitation, euphoria, dysphoria, depression, paranoia, and hallucinations are encountered infrequently, mainly with high doses. Pruritus, flushed skin, and urticaria may arise because of histamine release.